Most common site of lymphoma in the gastrointestinal system is:-
1. Small bowel
2. Stomach
3. Large intestine
4. Esophagus

Correct answer: 2. Stomach

Explanation: Most common site of lymphoma in the gastrointestinal system is Stomach. GI LYMPHOMA MC site for lymphoma in the GIT: Stomach >IleumQ MC site of gastric lymphoma: AntrumQ MC type of gastric lymphoma: Diffuse large B-cell lymphomaQ (55%) > MALTomaQ (40%) DLBLQ is MC type of NHL, extranodal lymphoma and GI lymphoma.